Which hormone causes increased food intake-
1. Leptin
2. Cart
3. Serotonin
4. Ghrelin

Correct answer: 4. Ghrelin

Explanation: Ans. is 'd' i.e., Ghrelin * Ghrelin is released from the stomach in fasting state. It increases hunger by inhibiting the ventromedial hypothalamus (satiety center). It also stimulate GH secretions.AnorexigenicOrexigenic* Decrease feeding* Increase feeding* Secreted after taking meala* Secreted in response to starvation1) a-melanocyte stimulating hormone (a-MSH)1) Melanin-concentrating hormone2) Leptin2) Neuropeptide Y3) Serotonin3) Agouti-related protein (AGPP)4) Norepinephrine4) Orexins A and B5) Corticotropin-releasing hormone5) Endorphins6) Insulin6) Galanin (GAL)7) Cholecystokinin (CCK)7) Cortisol8) Glucagon-like peptide (GLP)8) Ghrelin9) Cocaine and amphetamine-regulated transcript (CART)9) Amino acids (glutamate and a-aminobutyric acid)10) Peptide YY (PYY)10) Endocannabinoid